Which of the following cephalosporin has activity against methicillin resistant staphylococcus aureus?
1. Ceftriaxone
2. Ceftazidime
3. Cefuroxime
4. Ceftobiprole

Correct answer: 4. Ceftobiprole

Explanation: Ceftobiprole (Zevtera/Mabelio) is a new 5th-generation cephalosporin for the treatment of hospital acquired pneumonia(HAP, excluding ventilator-associated pneumonia, VAP) and community acquired pneumonia (CAP). Ceftobiprole has high affinity for PBP2a of MRSA strains. REFERANCE:en.wikipedia.org